Which of the following is not helpful in preventing dracunculiasis?
1. Filtering of drinking water
2. Active search for new cases
3. Mass mebendazole treatment
4. Education regarding water hygiene

Correct answer: 3. Mass mebendazole treatment

Explanation: No drug is suitable for effective mass treatment. However infected persons are treated with niridazole, mebendazole or metronidazole.